Most common symptom of Acute pelvic inflammatory disease:
1. Bleeding per vaginum
2. Abdominal pain
3. Vomiting
4. Amenorrhoea

Correct answer: 2. Abdominal pain

Explanation: Symptoms of Acute PID Abdominal pain Vomiting Dysuria Vaginal discharge Abnormal uterine bleeding Pain is the most common feature of symptomatic PID. Abnormal bleeding and vomiting may also occur.